Concentration of diethylcarbomazine in DEC medicated salt in endemic filariasis is
1. 2-4 gm/kg
2. 3-6 gm/kg
3. 5- 1 0 gm/kg
4. 10- 15 gm/kg

Correct answer: 1. 2-4 gm/kg

Explanation: Ans. is 'a' i.e., 2-4 gm/kg o The use of DEC-medicated salt is a special form of mass treatment using very low doses of drug over a long period of time. o Common salt medicated with 1-4g of DEC per kg has been used for filariasis control in endemic areas of W. bancrofti and B malayi, particularly in Lakshadweep islands. o Treatment should be continued for at least 6-9 months.